Which of the following inborn errors of metabolism is associated with intellectual disability -
1. Alkaptonuria
2. Homocystinuria
3. Pentosuria
4. All

Correct answer: 2. Homocystinuria

Explanation: Ans. is 'b' i.e., Homocystinuria Metabolic disorders associated with intellectual disability. i) Aminoaciduria Phenylketonuria, homocystinemia, histidinemia ii) Galactosemia iii) Mucopolysaccharidosis